A 20 yr old patient presented with early pregnancy for Medical Termination of Preg-nancy (MTP) in day care facility. What will be the anesthetic induction agent of choice?
1. Thiopentone
2. Ketamine
3. Propofol
4. Diazepam

Correct answer: 3. Propofol

Explanation: C i.e. Propofol